Malignant hypertension can lead to all of the following EXCEPT
1. Hypertensive retinopathy
2. Respiratory failure
3. Renal failure
4. Stroke

Correct answer: 2. Respiratory failure

Explanation: Malignant HTN is >180/120 mmHg + damage to target organs Heart: Left ventricular hypertrophy (LVH) Eyes: Diabetic Retinopathy Brain: Stroke Kidney: Renal failure Aorta: Dissection also aneurysms